Large PDA (Patent ductus arteriosus) leads to
1. Endocardial valvulits
2. Eisenmenger syndrome
3. CHF
4. All of the above

Correct answer: 4. All of the above

Explanation: In PDA CHF may devolop within 6 -10 week of life. Large PDA will lead to pulmonary hypertension and reversal of shunt lead to eisenmenger syndrome and differential cyanosis Ref : Ghai essential of pediatrics, eighth edition, P.no:418 Harrison principals of internal medicine,19th edition,p.no:1523 Davidson's principles and practice of medicine,21st edition,p.no:629